Ex- Press glaucoma implant-
1. Stainless steel
2. Gold
3. Silicone
4. Titanium

Correct answer: 1. Stainless steel

Explanation: The EX-PRESS(r) Glaucoma Filtration Device is intended to reduce IOP in glaucoma patients when medication and conventional surgical treatments have failed. The device channels aqueous humor through a secure lumen (of either 50 mm or 200 mm) to a half-thickness scleral flap, creating a subconjunctival filtration bleb. This Lumenal Control means uniform filtration; uniform filtration helps to stabilize IOP during and after the procedure; and stable IOP means greater predictability.